Most common organism involved in urinary catheter induced urinary tract infection is -
1. E.coli
2. Pseudomonas
3. Staphylococcus epidermidis
4. Proteus

Correct answer: 1. E.coli

Explanation: Most commonly involved organism in causing urinary tract infection is E. Coli. Risk factors - More common in females Recent use of a diaphragm with spermicide, frequent sexual intercourse. Maternal history of diabetes ,UTI and incontinence . Obstruction in urine flow(calculi,malignancies) Incomplete voiding(residual urine) Foriegn body in urinary tract (catheter, calculi) Ref:Harrison 20 th edition pg no 969,970